Gyrate atrophy of retina is caused by accumulation of:
1. Ornithine
2. Arginine
3. Citrulline
4. none of the above

Correct answer: 1. Ornithine

Explanation: Arginine is converted to ornithine then to glutamate--semialdehyde. Subsequent catabolism to alpha-ketoglutarate occurs as described above for. Mutations in ornithine -aminotransferase elevate plasma and urinary ornithine and cause gyrate atrophy of the retina. Treatment involves restricting dietary arginine. Ref: Harper 28th edition, chapter 29.